Which of the following also known as prevalence study
1. Cohort study
2. Case control study
3. Cross - sectional study
4. Ecological study

Correct answer: 3. Cross - sectional study